Thiopentone is fast acting inducing agent because of
1. Rapid redistribution
2. Increased clearance
3. Metabolized in plasma
4. High lipid solubility

Correct answer: 4. High lipid solubility

Explanation: Thiopentone is fast acting because of its high lipid solubility.
And action of this drug terminates very quickly because of rapid redistribution.